What is the elimination half-life of a drug with a volume of distribution of 40L if the total body clearance is 7L/hour. The hepatic extraction ratio of the drug is 0.5 and the Tmax after oral administration is 2 hours?
1. 2 hours
2. 4 hours
3. 6 hours
4. 8 hours

Correct answer: 2. 4 hours

Explanation: The elimination half-life of this drug is 4 hours. The elimination half-life depends on the volume of distribution and clearance rate and can be calculated as T1/2= 0.7 x Vd / CL, where t1/2 = the elimination half-life, Vd = the volume of distribution, and CL = clearance. Therefore, the elimination half-life is directly proportional to the volume of distribution and inversely related to clearance. The hepatic extraction ratio and Tm are factors relating to oral bioavailability and the rate of absorption, and these do not affect elimination half-life.